Human is the only reservoir for
1. Rabies
2. Tetanus
3. Measles
4. JE virus

Correct answer: 3. Measles

Explanation: Ans. is 'c' i.e., Measles Reservoir of infection may be :? Human reservoir Non - Human reservoir Animal or bird Non - living things (e.g. - soil) Most important reservoir or source of infection for human is man itself. However, most of the infections have nonhuman reservoir also. There are some infections, which have only human reservoir, i.e. they do not have non-human reservoir. Such infections are Measles, Typhoid (S. typhi), Syphilis (T pallidum), Gonorrhoea (gonococci), Loose borne relapsing fever (Borrelia recurrents), cholera (V cholerae).